Monu, a 30 year old male, a chronic alcoholic presents with sudden onset of epigastric pain that radiates to the back. All are seen Except:
1. Low serum lipase
2. Increased LDH
3. Hypocalcemia
4. Increased serum amylase

Correct answer: 1. Low serum lipase

Explanation: Answer is A (Low serum Lipase) The presence of sudden onset epigastric pain that radiates to the back in an alcoholic patient suggests the diagnosis of Acute Pancreatitis. Acute pancreatitis is characterized by, an elevated serum lipase !eve and not a low serum lipase 'An elevated serum lipase is more specific for pancreatitis than a serum amylase level'- Harrison